Subodontoblastic zone is
1. Cell rich zone
2. Cell free zone
3. Odontoblastic zone
4. Core

Correct answer: 2. Cell free zone